In which of the following cases, apical diastolic murmur occur:
1. Mital regurgitation
2. Mitral stenosis
3. Aortic stenosis
4. Ventricular septal defect

Correct answer: 2. Mitral stenosis